Drug of choice for maintenance therapy in PS VT is-
1. Amiodarone
2. Lignocaine
3. Verapamil
4. Adenosine

Correct answer: 3. Verapamil

Explanation: Ans. is 'c' i.e., Verapamilo Amongst the options provided Verapamil is the drug of choice for maintenance therapy in pateints with PSVT.Treatment options fyrSupraventricular Tachycardia o Physiologic intervention# Rest# Valsalva maneuvers : Gag reflex, ice packs, etc# Carotid massage# Avoidance of inciting factors : Caffeine, tobacco, alcohol, pseudoephedrine, stress, etc.o Medications# Drugs with direct effect on artrioventricular node or accessory pathway:# Amiodarone (Cordarone), Sotalol (Betapace), class IC drugs (flecainide , propafenone , etc).# Drugs that work primarily on atrioventricular node:# Adenosine (Adenocard), calcium channel blockers, beta blockers, digoxin (Lanoxin).# Drugs that work primarily on accessory Pathway:# Class IA drugs (quinidine, disopyramide , etc).o Radiofrequency ablationo Electronic pacing PSVT No limbing symptoms No Pre-excitation Mild to miderate symptoms No Pre-excitation Severe symptoms or Pre-excitation ||| ||| ||| NoTherapyPotentPreferenceCatheterAblation ||| |Unsuccessful| | | |Drug TherapyUnsuccessful -----------Catheter Ablation 1 Drug | Therapy |